In primary immune deficiency, the following plasma protein fraction can be reduced
1. Alpha1 globulin
2. Alpha2 globulin
3. Beta globulin
4. Gamma globulin

Correct answer: 4. Gamma globulin

Explanation: Agammaglobulinemia is a type of primary immunodeficiency of the adaptive immune systemAgammaglobulinemia is characterized by a profound defect in B cell development (<1% of the normal B cell blood count). In most patients, very low residual Ig isotypes can be detected in the serum. In 85% of cases, agammaglobulinemia is caused by a mutation in the BTK gene that is located on the X chromosome.Harrison 19e pg: 2107